Secretion of bile occurs into:
1. Jejunum
2. Duodenum
3. Ileum
4. Colon

Correct answer: 2. Duodenum

Explanation: Bile is secreted continually by the liver cells, but most of it is normally stored in the gallbladder, until it is needed in the duodenum.  
Reference: GUYTON AND HALL TEXTBOOK OF MEDICAL PHYSIOLOGY,THIRTEENTH EDITION page 829